Which natural family planning method is based on ogino knauss theory:
1. BBT method
2. Rhythm method
3. Lactational anerorrhea
4. Withdrawl method

Correct answer: 2. Rhythm method